Which of the following hardness test is a micro hardness test?
1. Brinnel
2. Knoop
3. Shore-A
4. Rockwell

Correct answer: 2. Knoop